Which nerve can be damaged during venesection of Great Saphenous vein:
1. Sural Nerve
2. Femoral Nerve
3. Obturator Nerve
4. Saphenous Nerve

Correct answer: 4. Saphenous Nerve

Explanation: Ans. D. Saphenous NerveThe great saphenous vein in front of medial malleolus at ankle is the most preferred site of venesection (cut-down) in emergency situation when the superficial veins elsewhere in the body are collapsed and invisible, to insert the canula for prolonged administration of intravenous fluids. Note that, in front of medial malleolus, saphenous nerve lies in front of the vein. Hence, during cut-down procedure, the saphenous nerve should be recognized to avoid its injury.